Basic laboratory service is not available at PHC for which disease -
1. TB
2. Malaria
3. Syphilis
4. Leprosy

Correct answer: 4. Leprosy

Explanation: Ans. is 'd' i.e., Leprosy Basic laboratory services at PHCRoutine urine, stool and blood tests.Bleeding time, clotting time.Diagnosis of RTI/STDs with wet mounting, Grama stain, etc.Sputum testing for tuberculosis (if designated as a microscopy center under RNTCP).Blood smear examination for malarial parasite.Rapid tests for pregnancy.RPR test for Svphilis/YAWS surveillance.Rapid diagnostic tests for typhoid (Typhi Dot) and malaria.Raid test kit for faecal contamination of water.Estimation of chlorine level of water using orthotoludine reagent.